The bacterial drug resistance in tuberculosis results from
1. Transduction
2. Transformation
3. Plasmid method
4. Mutation

Correct answer: 4. Mutation

Explanation: Refer Katzung 11/e p824 Resistance to INH occurs due to point mutation in inhA gene Resistance to Rifampicin occurs due to point mutation in rpoB gene Resistance to Ethambutol is due to mutation resulting in over expression of embB gene